Carnitine shuttle is involved in ?
1. Fatty acid synthesis
2. Fatty acid oxidation
3. Cholesterol synthesis
4. Bile acid synthesis

Correct answer: 2. Fatty acid oxidation

Explanation: Ans. is 'b' i.e., Fatty acid oxidationVery short chain, short chain, medium chain and long chain fatty acids get oxidized in mitochondria,Very short chain, short chain and medium chain fatty acids can cross inner mitochondrial membrane by passive diffusion,Long chain fatty acids cannot cross the inner mitochondrial membrane. Hence they need a carrier. The carrier is carnitine.Carnitine is p hydroxy y N trimethylaminobutyric acid. It is synthesized from lysine.